All the following are true about transport media except?
1. Used for transport of specimens
2. Organisms remains viable
3. Pike's medium for streptococcus pyogenes
4. Bacteria multiply vigorously

Correct answer: 4. Bacteria multiply vigorously

Explanation: Bacteria do not multiply in transport media, they only remain viable.